Cholesterol is a (an)
1. Ester
2. Phospholipid
3. Sterol
4. Lipoprotein

Correct answer: 3. Sterol

Explanation: Sterol

Cholesterol is the most important sterol.